Mechanism of action of Paclitaxel
1. It prevents polymerization of tubulin
2. It enhance polymerization of tubulin
3. Causes DNA breaks by affecting DNA topoisomerase II function
4. Cause DNA breaks by affecting DNA topoisomerase I

Correct answer: 2. It enhance polymerization of tubulin

Explanation: (It enhance polymerization of tubulin) (774-KDT) (825-KDT 6th)Mechanism of actionA. Vinca-Alkaloids (Vincristine, Vinblastine) - These are mitotic inhibitors bind to microtubular protein- tubulin" prevent its polymerization and assembly of microtubules, causes disruption of mitotic spindle and interfere with cytoskeletal functions.B. Texanes (Paclitaxel, Docetaxel) - complex diterpintaxane. It enhances polymerization of tubulin cytotoxic action of Paclitaxel emphasizes the importance of tubulin-microtubule dynamic equilibrium.C. Epipodophvllotoxins (Etoposid) - plant glycoside, it is not mitotic inhibitor but arrest cells in the G2 phase and causes DNA breaks by affecting DNA topoisomerase II functionsD. Camptothecin analogues (Topotecan and Irinotecan). They act in a manner similar to etoposide, but interact with a different enzyme DNA topoisomerase I